True regarding secular trends-
1. Changes in disease pattern in terms of months
2. Changes in disease pattern seasonally
3. Changes in disease pattern over a short period of timer
4. Changes in disease pattern over a long period of time

Correct answer: 4. Changes in disease pattern over a long period of time

Explanation: .long term or secular trends implies changes in the occurrence of disease over a long period of time.generally several years or decades.a secular trend implies a consistent tendency to change in a particular direction or a definitive movement in one direction. ref:park's textbook,ed 22,pg no 63